Statin having longest half life:
1. Rosuvastatin
2. Pravastatin
3. Simvastatin
4. Lovastatin

Correct answer: 1. Rosuvastatin

Explanation: Ans. A i.e. Rosuvastatin Rosuvastatin It is a competitive inhibitor of the enzyme HMG-CoA reductase, having a mechanism of action similar to that of other statins. Its approximate elimination half life is 19 h and its time to peak plasma concentration is reached in 3-5 h following oral administration.